Drug causing phacomelia?
1. Phenytoin
2. Alcohol
3. Lithium
4. Thalidomide

Correct answer: 4. Thalidomide

Explanation: Ans. is 'd' i.e., Thalidomide o Even a single dose of thalidomide administered early in pregnancy may result in severe teratogenic effect in the form of phacomelia.